Mechanism of action of ethyl alcohol in methyl alcohol poisoning is:
1. Saturate alkaline phosphatase
2. Blocks formation of formaldehyde
3. Inhibit Ca release
4. All of the above

Correct answer: 2. Blocks formation of formaldehyde

Explanation: Ethanol is the antidote for methyl alcohol poisoning. Methyl alcohol is oxidized to formaldehyde by the enzyme catalase. This catalase can also oxidize ethyl alcohol to acetaldehyde. In methyl alcohol poisoning, ethyl alcohol by competition for catalase, blocks the formation of formaldehyde and allows the less toxic methyl alcohol to be excreted unmetabolized. Ref: The Essentials of Forensic Medicine and Toxicology by KS Narayan Reddy, 27th edition, Page 513.